A 20-year-old male presents with pain in the knee joints for the last 2 weeks. He also has mild backache and stiffness. He had fever and diarrhea four weeks previous to developing these complaints. The patient is afebrile and has no diarreha. His laboratory investigations reveal normal ESR and elevated CRP. What is the most probable diagnosis?(
1. Ankylosing spondylitis
2. Rheumatiod arthritis
3. Enteropathic arthritis
4. Reactive arthritis

Correct answer: 4. Reactive arthritis

Explanation: Reactive arthritis, formerly known as Reiter's syndrome, is a form of inflammatory arthritis[that develops in response to an infection in another part of the body (cross-reactivity). Coming into contact with bacteria and developing an infection can trigger the disease. By the time the patient presents with symptoms, often the "trigger" infection has been cured or is in remission in chronic cases, thus making determination of the initial cause difficult The manifestations of reactive arthritis include the following triad of symptoms: an inflammatory arthritis of large joints, inflammation of the eyes in the form of conjunctivitis or uveitis, and urethritis in men or cervicitis in women. Arthritis occurring alone following sexual exposure or enteric infection is also known as reactive arthritis. Patients can also present with mucocutaneous lesions, as well as psoriasis-like skin lesions such as circinate balanitis, and keratoderma blennorrhagicum. Enthesitis can involve the Achilles tendon resulting in heel pain.Not all affected persons have all the manifestations Ref Davidson 23rd edition pg 932